Central Retinal artery occlusion is known to be associated with:
1. Panophthalmitis
2. Diabetic Retinopathy
3. CMV retinitis
4. Orbital mucomycosis

Correct answer: 4. Orbital mucomycosis

Explanation: Ans. (d) Orbital mucomycosisRef: Yanoff 3/e, p. 592CRAO in orbital mucormycosis results from vascular invasion which is the hallmark of orbital mucormycosis. Mucormycosis is typically associated with thrombosis of vessels affected by the inflammatory process reflecting the vascular tropism of the fungus. Central Retinal artery Occlusion (CRAO) may be the presenting sign in a small subset of patients of Orbital mucormycosis.